In- right lateral rectus palsy, head is turned to -
1. Right
2. Left
3. Up
4. Down

Correct answer: 1. Right

Explanation: Compensatory head posture - It is adopted to avoid diplopia and confusion Head is turned towards the direction of action of the paralysed muscle. Ref;A.K.Khurana; 6th edition; Page no: 354